What is the prevalence of HIV in Andra pradesh and tamil nadu -
1. Low
2. Moderate
3. High
4. Low moderate

Correct answer: 3. High

Explanation: Andra pradesh and Tamil Nadu are high prevalence stated. REF. PARK'S TEXTBOOK OF PREVENTIVE AND SOCIAL MEDICAL 21ST EDITION. PAGE NO - 318